Which of the following is an antiandrogenic drug?
1. Fluconazole
2. Itracanazole
3. Ketoconazole
4. Terbinafine

Correct answer: 3. Ketoconazole

Explanation: Ans. c (Ketoconazole) (Ref. KDT, Pharmacology, 6th ed.,762)KETOCONAZOLE# Antifungal drug, used for dermatophytosis and deep mycosis# Inhibits cytochrome P450 enzymes# The most common side effects are nausea and vomiting; can be reduced by giving the drug with meals. Others are-loss of appetite, headache, paresthesia, rashes and hair loss.# | Androgens production from testes and causes gynecomestica and may cause oligozospermia.# is contraindicated in pregnant and nursing women.AzolesMOAInhibit fungal sterol (ergosterol) synthesis, by inhibiting the cytochrome P-450 enzyme that converts lanosterol to ergosterol.IndicationsLocal and less serious systemic mycoses. Fluconazole for chronic suppression of cryptococcal meningitis in AIDS patients and candidal infections of all types. Itraconazole for Blastomyces, Coccidioides, Histoplasma. Clotrimazole and miconazole for topical fungal infections.Adverse effectsTestosterone synthesis inhibition (gynecomastia, esp. with ketoconazole), liver dysfunction (inhibits cytochrome P-450).Additional Educational Point# Ketaconazole also used as medical Adrenalectomy drug in cases of Cushing's syndrome/Conn's disease.